All of the following areas are commonly involved sites in pelvic fracture except:
1. Pubic rami
2. Alae of ileum
3. Acetabula
4. Ischial tuberosities

Correct answer: 4. Ischial tuberosities

Explanation: Fracture of the ischial tuberosity is uncommon injury. Ref: Skeletal Radiology - Volume 30, March 2001; Examination of Musculoskeletal Injuries eBook w/Web Resource By Sandra Shultz, Peggy Houglum, David Perrin, 3rd Edition, Page 495